Typical symptom of gastroesophageal reflux disease is
1. Regurgitation
2. Dysphasia
3. Chest pain
4. Cough

Correct answer: 1. Regurgitation

Explanation: Answer- A. RegurgitationHeaburn and regurgitation are the typical symptoms of GERD.Dysphagia and chest pain.Extraesophageal syndrome, with an established association to GERD include chronic cough, laryngitis, asthma, and dental erosions.